Receptor agonists possess:
1. Affinity but no intrinsic activity
2. Intrinsic activity but no affinity
3. Affinity and intrinsic activity with a + sign
4. Affinity and intrinsic activity with a - sign

Correct answer: 3. Affinity and intrinsic activity with a + sign

Explanation: Ans. C. Affinity and intrinsic activity with a + signa. Agonist: Drug having affinity and intrinsic activity (IA)/efficacyb. Antagonist: Drug having affinity but no intrinsic activityc. Inverse agonist: Having affinity and intrinsic activity which is opposite to that of agonist e.g. beta carbolines at BDZ receptord. Partial agonist: Drug having affinity and intrinsic activity (IA)/efficacy less than agonist